Which statement best describes the stomach?
1. Lymph from the superior 2/3 of the stomach drains into the suprapancreatic nodes
2. All lymph from the stomach drains through the coeliac nodes
3. The gastric branches of the vagi are given of in the greater curve
4. The lower oesophageal sphincter is supplied by the nerves of Latarjet

Correct answer: 2. All lymph from the stomach drains through the coeliac nodes

Explanation: All the lymph drainage from the stomach eventually drains into the coeliac nodes and then into the cisterna chyli. All the lymph drainage from the stomach initially drains in three directions. On the right side the lymph drains to the left and right gastric nodes. On the left the superior portion drains into the pancreaticosplenic nodes and suprapancreatic nodes and the inferior portion drains into nodes around the pylorus. The anterior and posterior vagi pass along the lesser curvature of the stomach and give off gastric branches as they descend. Ref: Gray's Anatomy 41st edition Pgno: 1118